Internal pudendal artery supplies all except
1. Perineum
2. Penis
3. Anal canal
4. Anterior abdominal wall

Correct answer: 4. Anterior abdominal wall

Explanation: It arises from the anterior division of internal iliac artery. It runs on the lateral pelvic wall.It exits the pelvic cavity through the greater sciatic foramen, inferior to the piriformis foramen, to enter the gluteal region.It then curves around the sacrospinous ligament to enter the perineum through the lesser sciatic formen.It travels through the pudental canal with the internal pudental vein and the pudental nerve. ref - BDC 6e vol2 pg364